Hepatitis which spreads by feco-oral route is:
1. Hepatitis A
2. Hepatitis B
3. Hepatitis C
4. Hepatitis D

Correct answer: 1. Hepatitis A

Explanation: Ans. A: Hepatitis A Feco-oral route is the typical mode of transmission for the infectious agents of: Cholera Hepatitis A, Hepatitis E Polio Rotavirus Salmonella